A female has hypopigmented lesion on centre of forehead drug, responsible is:
1. Hydroquinone
2. Mono benzene metabolite of hydroquinone
3. Para tetra butyl catechol
4. Para tetra butyl phenol

Correct answer: 4. Para tetra butyl phenol

Explanation: D i.e. Para tetra butyl phenol Dermatology 3/e p. 92; Fitzpatrick's 7/e p-135-145; Rooks 7/e p.17.7-17.37; Roxburgh's 17/e p- 105-109] - Most common cause of air borne contact dermatitis (ABCD) in India is pahenium hysterophorus (congress grass) plantQ - Metal most commonly l/t allergic contact dermatitis (ACD) is nickel (Ni)Q and drug is neomycin. Whereas detergentQ are most common cause of ACD in Indian females. - Para-tetra (p-test)-Butyl phenol formaldehyde glue (resin) on BindiQ is most common cause of ACD or hypopigmentation on centre of forehead in Indian females.